Chlamydia pneumoniae causes causes:
1. LGV
2. Atherosclerosis
3. Inclusion conjunctivitis
4. Trachoma

Correct answer: 2. Atherosclerosis

Explanation: Ans. is. 'b' i. e., Atherosclerosis